Most common dose related side effect of salbutamol is:
1. Nervousness
2. Tremor
3. Palpitation
4. Restlessness

Correct answer: 2. Tremor

Explanation: Tremor